Osgood Schlatter disease is associated with osteochondritis of
1. Patella
2. Femur medial condyle
3. Tibial tubercle
4. Femur lateral condyle

Correct answer: 3. Tibial tubercle

Explanation: Types of Osteochondritis and Nomenclature Traction apophysitis (chronic strain injuries) Tibial Tuberosity Osgood-Schlatter Calcaneum Sever The lower pole of patella Sinding-Larsen's